Well's grading of puimonary embolism is based ona) Dopplerb) Clinical symptomsc) Hemoptysisd) Heart Rate > 100 beats per min
1. abc
2. acd
3. ac
4. bcd

Correct answer: 4. bcd